Disinfection of sputum is done by -
1. Boiling
2. Autoclaving
3. Burning
4. All

Correct answer: 4. All

Explanation: Ans. is 'a' i.e., Boiling; 'b' i.e., Autoclaving; 'c' i.e., Burning